Salbutamol is used in
1. Cardiac asthma
2. Bronchial asthma
3. Pulmonary oedema
4. Cor Pulmonary

Correct answer: 2. Bronchial asthma